Earliest drug used in acute angle closure glaucoma –
1. Diamox
2. Pilocarpine
3. Atropine
4. DFP

Correct answer: 1. Diamox

Explanation: Approach in acute congestive glaucoma 

Start i.v. mannitol or i.v. acetazolamide
When IOT starts falling, start topical pilocarpine or β-blocker (timolol).
Apraclonidine/latanoprost may be added.
Once i.o.t. is reduced, surgery is done.
Diamox is acetazolamide